True about eukaryotic initiation is a/e
1. Initiator sequence spans TSS (+1)
2. Distal regulatory element (DRE) is exclusively found in eukaryotes
3. Different a subunits are responsible for recognition specificity
4. Trans acting factors bind to CAAT/GC box - promoter proximal element.

Correct answer: 3. Different a subunits are responsible for recognition specificity

Explanation: C i.e. Different o- subunits are responsible for recognition specificity